Dystrophic calcification is seen in ?
1. Milk alkali syndrome
2. Atheromatous plaque
3. Hyperparathyroidism
4. Vitamin A intoxication

Correct answer: 2. Atheromatous plaque

Explanation: Ans. is 'b' i.e., Atheromatous plaqueDystrophic calcification o When pathological calcification takes place in dead, dying or degenerated tissue, it is called dystrophic calcification. o Calcium metabolism is not altered and serum calcium level is normal.Dystrophic calcification in dead tissues1.In caseous necrosis of tuberculosis(most common which may be in lymph nodes)2.Chronic abscess in liquifactive necrosis3.Fungal granuloma4.Infarct5.Thrombi6.Haematomas7.Dead parasites-Cystecercosis/Toxoplasma Hydatid/Schistosoma8.In fat necrosis of breast & other tissuesDystrophic calcification in degenerated tissuesAtheromatous plagueMonkeberg's sclerosisPsommama bodiesDens old scarsSenile degenrated changes such as in costal cartilage, tracheal, bronchial rings, Pineal gland in brain.Heart valves damaged by rheumatic fever.How does calcification occurs in these site with normal serum calcium ?o Calcification of dead and dying cells and tissues is a common finding in human pathologic conditions. o Denatured proteins in dead or irreversible damaged tissues preferentially bind phosphate ions. o Phosphate ions react with calcium ions to form a precipitate or calcium phosphate.o Thus, necrotic tissue serves as a calcium sink.